Refraction of eye is affected by all except:
1. Removal of vitreous
2. Lens thickened
3. Optic atrophy
4. Axial length changed

Correct answer: 3. Optic atrophy

Explanation: Optic atrophy does not have any effect on the refractive status of eye. Most Important factor is axial length (Q) for myopia* Other important factors that determine the refractive power Keratometry means curvature of cornea Lens- thickness , position and sclerosis as the lens has highest refractive index* Remember 1 D change in axial length cause almost 2.5 D change in refractive error* 1 D change in corneal curvature cause 6 D change in refractive error*